Aschoff's nodules are seen in
1. Subacute bacterial endocarditis.
2. Libman - Sacks endocarditis
3. Rheumatic carditis
4. Non - bacterial Thrombotic endocarditis

Correct answer: 3. Rheumatic carditis

Explanation: Acute rheumatic fever is characterised by discrete inflammatory foci within a variety of tissues. The myocardial inflammatory lessons called Aschoff bodies are pathogenic for rheumatic fever. Rheumatic fever occurs due to beta hemolytic streptococcal infections. Robbins 9 th edition page no. 391